In colles fracture not seen is -
1. Proximal impaction
2. Lateral rotation
3. Dorsal angulation
4. Medial rotation

Correct answer: 4. Medial rotation

Explanation: Supination (external rotation) occurs in colles fracture, not internal rotation / pronation.